RMP of a smooth muscle cell is:
1. - 10 mV to - 20 mV
2. - 45 mV to - 55 mV
3. - 65 mV to - 75 mV
4. - 85 mV to - 90 mV

Correct answer: 2. - 45 mV to - 55 mV

Explanation: The membrane potential of a smooth muscle fiber has no true "resting" value. However, in periods of relative quiescence it is about - 45 to - 55 mV. The reason for this low RMP of smooth muscle, compared to skeletal muscle, is the relatively high intracellular & and relatively low in the smooth muscle.